ABO antigens are not found in:
1. Semen
2. Plasma
3. Sweat
4. CSF

Correct answer: 4. CSF

Explanation: Ans: D (CSF) Ref: The Essentials of Forensic Medicine and Toxicology by KS Narayan Reddy. 29th edition. 2010Explanation:ABO antigensABO antigens are found in high concentration in saliva, semen, vaginal and gastric secretions.They are found in low titres in sweat, tears and urine.Totally absent in nerve tissue, epithelium, skin appendages, bone and cartilage.